Plummer-Vinson sndrome is an-
1. Iron-deficiency anemia
2. Aplastic anemia
3. Vitamin dificiency
4. Increased hemoglobin

Correct answer: 1. Iron-deficiency anemia

Explanation: Plummer-Vinson syndrome (PVS), a rare clinical condition, is characterized by a triad of dysphagia, iron deficiency anemia and esophageal web in the post-cricoid region. It was first described over a century ago. Thecondition has been reported most commonly in thin-built, middle-aged, white women.